Hippocrates facies is seen in
1. Peritonitis
2. Pancreatitis
3. Facial nerve injury
4. Marginal mandibular nerve injury

Correct answer: 1. Peritonitis

Explanation: Most cases of peritonitis are caused by an invasion of the peritoneal cavity by bacteria, so that when the term 'peritonitis' is used without qualification, bacterial peritonitis is implied.When the peritoneum becomes inflamed, the temperature, and especially the pulse rate, rise. Abdominal pain increases and usually there is associated vomiting. The most important sign is guarding and rigidity of the abdominal wall over the area of the abdomen that is involved, with a positive 'release' sign (rebound tenderness). Ref: Bailey & Love's Short Practice of Surgery,E25,Page-992,993